Energy store of cell is:
1. Adenosine monophosphate
2. Adenosine diphosphate
3. Adenosine triphosphate
4. Adenosine quadri phosphate

Correct answer: 3. Adenosine triphosphate

Explanation: Ans. C. Adenosine triphosphatea. ATP is a nucleotide derived from adenosine that occurs in muscle tissue.b. It is the major source of energy for cellular reactionsc. Energy is stored in the cell in form of ATP (Adenosine triphosphate)